NSAID Drug induced edema is due to
1. Increased hydrostatic pressure
2. Protein losing enteropathy
3. Endothelial damage due to IL-2
4. Low oncotic pressure

Correct answer: 1. Increased hydrostatic pressure

Explanation: (A) Increased hydrostatic pressure# EDEMA> Causes due to increase hydrostatic pressure (due to enchanced renal salt & water): Congestive heart failure; Acute enphritis; Nephrotic syndrome; Chronic renal disease; Cirrhosis liver; Hypothyroidism. Drug induced fluid retention (E.g NSAID use)\ Idiopathic or cyclical edema.> Edema due to decreased oncotic pressure (due to low serum albumin): Neprhotic syndrome; Cirrhosis liver; Malnutrition.> Edema due to inherent defects in edema preventing mechanisms (seen in face and neck/upper half of body): Prolonged Trendelenberg's position; Edema seen with 'weightlessness (space travel)'.> Lymphedema: Edema due to increased capillary permeability; Angioderma; Vasodilators, e.g. amlodepine; xPostural edema; Inflammatory edema.